Dacron Graft
1. Nontextile synthetic
2. Textile synthetic
3. Nontextile biologic
4. Textile biologic

Correct answer: 2. Textile synthetic

Explanation: Vascular graft Bioprosthetic Autograft Homograft (Allograft) Heterograft (Xenograft) Tissue engineered Synthetic Textile - Dacron Non-textile - ePTFE, polyurethane Dacron graft Woven Threads are interlaced in a simple over and under pattern both in lengthwise & circumferential directions Less porous, used where bleeding is a risk (thoracic Aortic aneurysmal surgery) Stiff & diffucult to handle, display more fraying of cut edges Knitted Yarns are looped around each other Yarn is oriented Predominantly in longitudinal or circumferential direction More stable, can be easily incised & resutured More porous than woven grafts, require preclotting prior to use Ref: Sabiston 20th edition Pgno :234